Transverse carpal ligament is
1. Flexor retinaculum of hand
2. Extensor retinaculum of hand
3. Radial collateral ligament
4. Intercarpal ligament

Correct answer: 1. Flexor retinaculum of hand

Explanation: Transverse carpal ligament:It is also called flexor retinaculum or anterior annular ligamentIt is a fibrous band on the palmar side of the hand near the wristIt arches over the carpal bones of the hands, covering them and forming the carpal tunnel(Refer: Mohindra's Fundamentals of Orthopedics, 2nd edition, pg no. 99)